In Bonwill's equilateral triangle the apex of triangle is located at
1. The anterior part of incisive papilla
2. At the prominent part of chin upper central
3. At the anteriormost part of incisor
4. At the anteriormost part of lower central incisor

Correct answer: 4. At the anteriormost part of lower central incisor